The most common organism amongst the following that causes acute meningitis in an AIDS patient is ?
1. Streptococcus pneumoniae
2. Streptococcus agalactiae
3. Cryptococcus neoformans
4. Listeria monocytogenes

Correct answer: 3. Cryptococcus neoformans

Explanation: Ans. is c' i.e., Cryptococcus neoformans C. neoformans is the leading infections cause of meningitis in patients with AIDS.